Plastic cover of syringes is disposed in?
1. Red bag
2. Yellow bag
3. Black bag
4. Blue bag

Correct answer: 3. Black bag

Explanation: Ans. is 'c' i.e., Black bag